Hyperammonemia type I is due to deficiency of
1. CPS-I
2. CPS-II
3. Arginase
4. Arginosuccinase

Correct answer: 1. CPS-I

Explanation: Deficiency of any of the urea cycle enzymes result in hyperammonemia. Carbamoyl phosphate synthetase1 deficiency or hyperammonemia type 1 is comparatively rare and is characterized by severe hyperammonemia.Ref: DM Vasudevan - Textbook of Biochemistry, 7th edition, page no: 205